Immunization is
1. Primary Prevention
2. Secondary prevention
3. Tertiary Prevention
4. Disability Limitation

Correct answer: 1. Primary Prevention

Explanation: Primary prevention is action taken prior to the onset of disease which removes the possibility that a disease will ever occur.It includes actions taken for the protection of health by personal and community efforts, such as enhancing nutritional status, providing immunizations and eliminating environmental risks (sanitation...etc)Park 23epg: 43